Dawson disease is:
1. SSPE
2. Acute disseminated encephalomyelitis
3. Neuromyelitis optica
4. Multiple Sclerosis

Correct answer: 1. SSPE

Explanation: Dawson disease SSPE (Subacute Sclerosing pan encephalitis) Late complication of measle virus which can causes myoclonus at 8 years of age Multiple Sclerosis- Dawson Fingers: MRI head Neuromyelitis Optica- Anti aquaporin - 4 A/b - T. Myelitis + Optic neuritis